Drug of choice for absence seizure is:
1. Clonezapam
2. Diazepam
3. Phenytoin
4. Valproate

Correct answer: 4. Valproate